If the right cardiac silhouette is obliterated, it means the pathology involves –
1. Right lower lobe
2. Right atrium
3. Right middle lobe
4. Right ventricle

Correct answer: 3. Right middle lobe

Explanation: Right middle lobe lesion causes obliteration of the right cardiac border (right cardiac silhouette).